After Caldwell-Luc Procedure, Intranasal Antrostomy is done through?
1. Superior Meatus
2. Middle Meatus
3. Inferior Meatus
4. Floor Of The Nose

Correct answer: 3. Inferior Meatus